Local anesthetic that is not used topically is?
1. Lignocaine
2. Dibucaine
3. Tetracaine
4. Bupivacaine

Correct answer: 4. Bupivacaine

Explanation: Bupivacaine REF: Miller 6th e p. 590 Topical ( surface ) anesthetics Not used as surface (topical) ) anesthetics * Lignocaine * Procaine * Tetracaine * Bupivacaine * Dibucaine * Mepivacaine * Prilocaine * Cocaine